Which among the following is a false statement about fetal circulation?
1. Heart receives blood with high oxygen saturation
2. Pressure in right and left ventricles are equal
3. Brain receives blood with high oxygen saturation
4. Blood in inferior venacava has lower oxygen concentration compared to superior venacava

Correct answer: 4. Blood in inferior venacava has lower oxygen concentration compared to superior venacava

Explanation: Highly oxygenated blood from the placenta is carried to the fetus by the umbilical vein, which is shunted to the inferior venacava. The superior vena cava carries the less oxygenated blood from the upper part of the body to the right atrium. Hence, the blood in inferior vena cava has more oxygen concentration compared to superior vena cava. pressure in both the right and left ventricles are equal in a developing fetus Ref: Nelson textbook of pediatrics 21st edition pgno: 2345